Transverse diameter of the pelvic outlet is:
1. 9.5 cm
2. 10.5 cm
3. 11.5 cm
4. 12.5 cm

Correct answer: 2. 10.5 cm

Explanation: Transverse diameter of the obstetrical outlet / inter-ischial tuberous diameter - 10.5 cm An inter-ischial tuberous diameter of 8 cm or less is defined as a Contracted Outlet